Endodermal cloaca gives rise to all of the following except -
1. Rectum
2. Lower 1/2 of anal canal
3. Upper 1/2 of anal canal
4. Mucous membrane of bladder

Correct answer: 2. Lower 1/2 of anal canal

Explanation: Lower part of anal canal below the pectinate line develops from ectodermal invagination i.e. proctodeum.